In X-Ray right border of mediastinum is formed by all except:
1. SVC
2. Right Atrium
3. Right Ventricle
4. Right Brachiocephalic Vein

Correct answer: 3. Right Ventricle

Explanation: C i.e. Right Ventricle Right heart border on chest x-ray PA view is formed by right atrium with its draining tributaries SVC & IVCQ. Right aspect of ascending thoracic aorta and right innominate/brachiocephalic vesselsQ are also involved sometimes in forming right border. But right ventricle does not form the right border of the heart or mediastinum. It forms the anterior border of heart visible on lateral film.